Resistance to zidovudine develops due to :
1. Mutation at reverse transcriptase
2. Increased efflux of the drug from inside the cell
3. Increased metabolism of the drug
4. Decreased zidovudine 5 triphosphate formation

Correct answer: 1. Mutation at reverse transcriptase